Concentration of Na (meq/I) in normal saline is ?
1. 77
2. 109
3. 130
4. 154

Correct answer: 4. 154

Explanation: sodium in various fluids normal saline - 154mmol/l ECF - 142mmol/l lactated ringer - 130mmol/l